Antivenom is given
1. I.V (Intravenous)
2. I. M (Intra muscular)
3. S. C (Sub-Cutaneous)
4. I. D (Intra - Dermal)

Correct answer: 1. I.V (Intravenous)